True about stab wounds:
1. Depth is greater than breadth
2. Breadth is greater than depth
3. Length is greater than breadth
4. It has wound of entry and exit

Correct answer: 1. Depth is greater than breadth

Explanation: Ans. (A). Depth greater than breadthStab injuries are caused by pointed weapons..In stab injury, depth is the maximum dimensionIn incised wound, length is the maximum dimension.Chop injury shows wide gaping.Lacerations shows tissue bridging.